One of the following is true about the physical state of thiopentone
1. Colorless
2. Pale yellow color
3. Green color
4. Acidic solution

Correct answer: 2. Pale yellow color

Explanation: Thiopentone is available as yellow amorphous powder.